Cancer control programme was launched in
1. 1976
2. 1986
3. 1970
4. 1992

Correct answer: 1. 1976

Explanation: With the objectives of prevention, early diagnosis and treatment, the national cancer control programme was launched in 1975-76 Ref: PARK'S TEXTBOOK OF PREVENTIVE AND SOCIAL MEDICINE 23rd edition pg 472